Concerning fibroids
1. Use of GnRH analogues cause permanent reduction in size
2. Pregnancy following myomectomy is about 80%
3. Recurrence rate following myomectomy is about 20%
4. Growth factors (IGF-L EGF) stimulates myoma to grow

Correct answer: 4. Growth factors (IGF-L EGF) stimulates myoma to grow

Explanation: EGF, IGF-1, TGF stimulates the growth of leiomyoma either directly or estrogen GnRH analogues reduces 50%-80% of myoma size when used for 6months Pregnancy rate following myomectomy is 40-60% Recurrence and persistance following myomectomy is 30-50% D.C.DUTTA'S TEXTBOOK OF GYNECOLOGY,Pg no:272,281,282,6th edition *Intramural fibroid : endometrial sampling next step of management